Careful examination of the central depressed area of the nipple demonstrates multiple small openings. These openings are from which of the following?
1. Areola
2. Lactiferous ducts
3. Montgomery's glands
4. Sweat glands

Correct answer: 2. Lactiferous ducts

Explanation: The lactiferous ducts open into the nipples. The area of each of these ducts immediately below the nipple is usually dilated, forming a lactiferous sinus, which can store a droplet of milk that helps to initiate the baby's sucking reflex during nursing.The areola is the ring of darkly pigmented skin around the nipple. Note:Montgomery's glands are modified eccrine glands (described incorrectly by some authors as sebaceous glands) that provide oil and moisture for the skin of the nipple and areola. They open into the areola in small tubercles rather than the nipple. Sweat glands are common in the skin of the breast generally, but are too small to be able to seen by the unaided eye.